Advantages of delayed cord clamping are all of the following EXCEPT?
1. Lesser anemia
2. Lower blood pressure
3. Lesser chances of shock
4. Lesser intraventricular hemorrhage

Correct answer: 2. Lower blood pressure

Explanation: Advantages of delayed cord clamping: Lesser anemia Higher blood pressure Lesser chances of shock Lesser intraventricular hemorrhage